Hypertrophy means -
1. Increased protein content of the cells
2. Increase in size of cells
3. Increase in number of cells
4. None of the above

Correct answer: 2. Increase in size of cells

Explanation: Ans. is 'b' i.e., Increase in size of cells Hypertrophy o Hypertrophy refers to an increase in the size of cells without increase in the number, resulting in an increase in the size of tissue. Hypertrophy involves cell enlargement without cell division. So, hypertrophied organ has just larger cells, but no new cells Hyperplasia o Hyperplasia refers to an increase in number of cells without increase in cell size. It occurs due to cell division and proliferation, in hyperplasia there is increase in number of new cells without increase in size.